A 30-year-old woman presents with history of fever for 2 weeks with multiple episodes of haemoptysis. Bronchoscopy shows a polypoid mass covered with intact mucosa. Surgical resection was done and the histology slide is shown below. What is the diagnosis?
1. Carcinoid tumour
2. Large cell cancer
3. Pulmonary hamartoma
4. Adenocarcinoma lung

Correct answer: 1. Carcinoid tumour

Explanation: Carcinoid tumor Aka Kulchitsky cell tumor Commonly present in bronchus Causes local damage, hemoptysis, diarrhea, fever Histology - polypoid cell with intact mucosa, basophilic nest of cells.